A infant woke up in the night, crying with abdominal pain, which got relieved on passing red stools. What is the probable diagnosis?
1. Intestinal obstruction
2. Malrotation
3. Meckel's diverticulum
4. Intussusception

Correct answer: 4. Intussusception

Explanation: Passage of red current jelly stools is characteristic of Intussusception.